Which of the following drug is most effective in preventing emergence delirium with ketamine:
1. Atropine
2. Droperidol
3. Thiopentone
4. Midazolam

Correct answer: 4. Midazolam

Explanation: Benzodiazepine have proved the most effective in preventing emergence delirium with ketamine midazolam is drug of choice. Concomitant intravenous propofol and thiopentone decreases incidence of emergence delirium seen with propofol. Previous intravenous glycopyrolate increases the incidence of emergence delerium.